DIC is seen in -
1. Acute promyelocytic leukemia
2. Acute myelomonocytic leukemia
3. CML
4. Autoimmune hemolytic anemia

Correct answer: 1. Acute promyelocytic leukemia